Which of the following is an optically inactive amino acid?
1. Threonine
2. Tyrosine
3. Glycine
4. Serine

Correct answer: 3. Glycine

Explanation: Optical properties: All the amino acids except glycine possess optical isomers due to the presence of asymmetric carbon atom.
Ref: Satyanarayan 3rd edition page no: 49